Causes of thyrotoxicosis includes all of the following except:
1. Grave's disease.
2. Struma ovarii.
3. Toxic adenoma.
4. None.

Correct answer: 4. None.